BOAA is -
1. Beta-oxalyl amino alanine
2. Beta-oxalo acetoacetate
3. Beta-oxalyl aminoacetate
4. Beta-oxalyl acetylacetate

Correct answer: 1. Beta-oxalyl amino alanine

Explanation: The toxin present in lathyrus seeds has been identified as Beta oxalyl amino alanine (BOAA)REF.PARK'S TEXTBOOK OF PREVENTIVE AND SOCIAL MEDICINE.Editon-21.Page no.-596